The first heart sound is due to:
1. AV valves closure
2. Closing of aortic and pulmonary valves
3. Opening of AV valves
4. Opening of aortic and pulmonary valves

Correct answer: 1. AV valves closure

Explanation: Ans. A: AV valves closure